Low TIBC is seen in:
1. Anemia of chronic disease
2. Iron deficiency anemia
3. Fanconi anemia
4. Aplastic anemia

Correct answer: 1. Anemia of chronic disease

Explanation: Ans. (a) Anemia of chronic diseaseRef: Robbin's pathology 9th ed. /652*In anemia of chronic disease, response to inflammatory cytokines, increasingly IL-6 the liver produces increased amounts of hepcidin.*Hepcidin, in turn, causes increased internalization of ferroportin molecules on cell membranes which prevents the release from iron stores.*Since stores of iron are un-utilized, serum ferritin is increased. TIBC levels are the inverse of serum ferritin.*Low serum iron and ferritin levels with an elevated TIBC are diagnostic of iron deficiency.